Copper penny bodies are seen in
1. Chromoblastomycosis
2. Phaeohyphomycosis
3. Histoplasmosis
4. Cryptococcosis

Correct answer: 1. Chromoblastomycosis

Explanation: Ans: a (Chromoblastomycosis)Ref: Henry's Clinical Diagnosis and Management by Laboratory Methods, 21st ed.Chromoblastomycosis is a chronic infection of the skin and soft tissue.Characterized by the presence of muriform fungal structures called sclerotic bodies (copper penny bodies) within the infected tissues.